All of the following bones are pneumatic, except:
1. Maxillary
2. Parietal
3. Frontal
4. Ethmoidal

Correct answer: 2. Parietal

Explanation: Pneumatic bones are those bones which contain an air filled cavity within them. 
In humans, they are seen in relation to the the nasal cavity – they enclose the paranasal sinuses. 
Pneumatic bones are – maxilla, frontal bone, sphenoid and ethmoid.